Yellow discoloration of skin and mucosa is seen in poisoning with:
1. Nitrous oxide
2. Nitric acid
3. Sulphuric acid
4. Phosphoric acid

Correct answer: 2. Nitric acid

Explanation: Ans. Nitric acid